Precocious puberty in girls is defined by the onset of secondary sexual characteristic before the age of
1. 5 years
2. 7  years
3. 8  years
4. 9  years

Correct answer: 3. 8  years

Explanation: Precocious puberty :
Onset of secondary sexual characteristic before the age of 8 years in girls and 9 years in boys.